A 6-month-old infant was treated for H. influenzae meningitis. Most important investigation to be done before discharging the patient is:
1. MRI
2. Brainstem evoked response audiometry
3. Growth screening test
4. Psychotherapy

Correct answer: 2. Brainstem evoked response audiometry

Explanation: (b) Brainstem evoked response audiometry(Ref. Cummings, 6th ed., 2076)Meningitis can lead to labyrinthitis and thereby deafness which an infant will not report and if diagnosed early, cochlear implantation will have good results, so BERA needs to be done.